Two major types of muscle fibres are found in humans
1. White and brown
2. White and yellow
3. White and gray
4. White and red

Correct answer: 4. White and red